Strain used for chickenpox vaccine:
1. Edmonston Zagreb strain
2. Oka strain
3. 'Danish' 131
4. RA 27/3 strain

Correct answer: 2. Oka strain

Explanation: Ans. b (Oka strain). (Ref. Park PSM 22nd/pg. 137)VACCINESTRAIN USEDMeaslesHDC-Edmonston Zagreb strainBCG'Danish' 131Chicken pox (live attenuated)Oka strainOPVSabin strainIPVSalk strainRubellaRA 27/3 strain